An infant with severe dehydration secondary to diarrhea suddenly presents with flank mass and blood in urine. The most probable diagnosis is?
1. Renal vein thrombosis
2. Pyelonephritis
3. Acute glomerulonephritis
4. Lipoid nephrosis

Correct answer: 1. Renal vein thrombosis

Explanation: Given scenario suggests diagnosis of Renal vein thrombosis. Renal vein thrombosis: In newborns and infants, RVT is commonly associated with asphyxia, dehydration, shock, sepsis, congenital hypercoagulable states, and maternal diabetes In older children, RVT is seen in patients with nephrotic syndrome, cyanotic heart disease, inherited hypercoagulable states, sepsis, following kidney transplantation, and following exposure to angiographic contrast agents. Clinical Manifestation: Sudden onset of gross hematuria and unilateral or bilateral flank masses. RVT is usually unilateral. Bilateral RVT results in acute kidney failure. Ultrasonography shows marked renal enlargement, and radionuclide studies reveal little or no renal function in the affected kidney. Other Options in the question: Pyelonephritis- presents with fever, chills, flank mass, bloody & foul smelling urine. Acute glomerulonephritis- cola coloured urine, hypertension, edema Lipoid nephrosis- foamy urine, edema